Fatty acids used by all except
1. Liver
2. Muscle
3. Brain
4. Kidney

Correct answer: 3. Brain

Explanation: Ref-Harpers illustrated biochemistry 30/e p374 FattyFatty acids do not serve as fuel for the brain, because they are bound to albumin in plasma and so do not traverse the blood-brain barrier. In starvation, ketone bodies generated by the liver partly replace glucose as fuel for the brain. Muscle. The major fuels for muscle are glucose, fatty acids, and ketone bodies.